Flexion, adduction and medial rotation of arm is done by which muscle?
1. Pectoralis minor
2. Pectoralis major
3. Subclavius
4. Serratus Anterior

Correct answer: 2. Pectoralis major

Explanation: Ans. B Pectoralis majorAnatomy of pectoralis major muscle:* Origin: Clavicle, sternum and costal cartilage 2nd - 6th ribs* Insertion: Lateral lip of intertubercular groove of humerus* Function: Flexion, adduction and medial rotation of arm